Down syndrome is
1. Trisomy of 21
2. Trisomy of 18
3. Monosomy of 18
4. Monosomy of 21

Correct answer: 1. Trisomy of 21

Explanation: Aneuploidy is the presence of an abnormal number of chromosomes in a cell, for example a human cell having 45 or 47 chromosomes instead of the usual 46